Most common site of aortic dissection is ?
1. Ascending aorta
2. Descending aorta
3. Arch of aorta
4. Infrarenal portion of aorta

Correct answer: 1. Ascending aorta

Explanation: Aortic dissection Dissection of the media of the aorta after splitting through intima creating a channel in the media of the vessel wall. Causes- hypertension, marfan's syndrome, collagen diseases, trauma, weakening of elastic layers of the media due to shear forces. Features:- Commonly seen in thoracic aorta(ascending aorta). Dissected aortic arch channel gets lined by endothelium, often reopens distally into the aorta causing double barrelled aorta. Atherosclerosis is not a usual cause for dissecting aneurysm. Clinical features- Pain in the chest, back which is excruciating. Features of ischemia. Treatment- Antihypertensives Surgery: using Dacron graft reconstruction of aorta. {Reference: SRB's manual of surgery, 5th edition , page no. 198}